Which of the following is true regarding osteoid osteoma?
1. The femur and tibia are the commonest bones involved
2. Radiologically appears as a radiolucent lesion surrounded by dense bone
3. It is a benign bone tumor, presents with severe pain that is typically relieved by aspirin
4. All of the above

Correct answer: 4. All of the above

Explanation: Ans. d. All of the aboveOsteoid osteoma is a benign tumor that mainly affects young adults.The femur and tibia are the most common bones involved.Pain is often the presenting feature and relief by aspirin is almost diagnostic.Local surgery is curative.Comparison of osteogenic sarcoma, ewing sarcoma, and osteoid osteoma Osteogenic sarcomaEwing sarcomaOsteoid osteomaPresentationSecond decadeSecond decadeSecond decadeM:FSlightly greater in malesSlightly greater in males3x greater in malesPredispositionRetinoblastoma, radiationNoneMale genderX-raySclerotic destruction: "sunburst"Lytic with laminar periosteal elevation: "onion skin"Small round central lucency with sclerotic marginMalignantYesYesNoMetastasesLungs, boneLungs, boneN/ATreatmentChemotherapy, ablative surgeryRadiation and/or surgery*. NSAIDs*. Surgery recommended when associated painPrognosis70% cure without metastasis at diagnosis60% cure without metastasis at diagnosisOver time it may resolve spontaneouslyOutcome If metastasis<20%20-30%N/ARadiology of bone tumorsTumor typeCharacteristicsRadiological findingsOsteochondromaBony exostosis with cartilaginous (chondroid) capTGiant cell tumor"Soap bubble" appearance on X-rayROsteosarcoma (osteogenic sarcoma)Codman triangle (from elevation of periosteum) Or sunburst pattern on X-ray-Ewing Sarcoma"Onion skin" periosteal reaction in boneMost common site involved in bone tumorTumor typeSite involvedOsteochondromaMetaphysisGiant cell tumorEpiphysisOsteosarcoma (osteogenic sarcoma)MetaphysisEwing sarcomaDiaphysisOsteoid osteomaDiaphysis Figure